Most common histological form of lung Ca that metastasizes is -
1. Squamous cell CA
2. Adenocarcinoma
3. Alveolar-carcinoma
4. Small cell carcinoma

Correct answer: 4. Small cell carcinoma

Explanation: Ans. is 'd' i.e., Small cell carcinoma o Small cell carcinomas are the most aggressive of lung tumors, metastasize widely and are virtually incurable by surgical means.o Small cell carcinoma is the most common type of lung cancer associated with ectopic hormone production and paraneoplastic syndrome.